Which of the following drug helps in rapid reversal of effect of rocuronium ?
1. Neostigmine
2. Sugammadex
3. Edrophonium
4. Atropine

Correct answer: 2. Sugammadex

Explanation: - 2 reversal agent of rocuronium:- Neostigmine:- Inhibits Acetylcholine esterase- |Ach. ( Neuromuscular agonist, Muscarinic Action) Suggamadex :- reversing agent developed for terminating the action of nondepolarizing muscle relaxants- rocuronium and vecuronium. It is selective relaxant binding agent. - Suggamadex is much faster than Neostigmine but it can cause allergies. - Edrophonium antagonize neuromuscular blockade purely by inhibiting acetylcholinesterase activity.